All are good prognostic factors for neuroblastoma except-
1. Trk-A expression absent
2. Absence of 1ploss
3. Absence of 17 p gain
4. Absence of 11 qloss

Correct answer: 1. Trk-A expression absent

Explanation: Ans. is 'a' i.e., Trk-A expression absent Prognostic Factors in NeuroblastomasVariableFavorableUnfavorableStage Age HistologyStage 1,2A, 2B,4S < 1 yearStage 3,4> 1 yearEvidence of schwannian stroma and gangliocytic differentiation Mitotic rateMitosis-karhorrhexis index Intratumoral calcification DNA ploidyPresent Low< 200/500 cellsPresentHyperdiploid or near-triploidAbsent High>200/500 cellsAbsentDiploid, near-diploid or near-tetraploid N-mycChromosome I7q GainChromosome Ip LossChromosome 11 q lossTrK-B expressionTrk-A ExpressionTelom erase ExpressionMRP ExpressionCD-44 ExpressionSerum Biochemical MarkersFerritinLactate DehydrogenaseNot amplifiedAbsentAbsentAbsentAbsentPresentLow or absentAbsentPresent Normal< 1500 U/mL.AmplifiedPresentPresentPresentPresentAbsentHighly expressedPresentAbsent Elevated>1500 U/mL.